Jumper's fracture is seen in?
1. Calcaneum
2. Tibia
3. Pelvis
4. Neck femur

Correct answer: 3. Pelvis

Explanation: Forceful axial loading of spine and pelvis may lead to a pelvic ring injury that has been called the "Jumper's fracture" or "suicidal jumper's fracture". As the name implies the injury is often seen after a fall from height, as in suicidal attempts, causing dislocation of central portion of sacrum from the lateral position. Simply put, the patients hits the ground with both feets. The leg hips, and sacral ala stop immediately, while the sacral body and spinal column keep moving downward. The Sacrum fails at its weakest points, the neural foramina. This mechanism results in a variety of fracture patterns, but the shared finding is the separation of the center of the sacrum from the lateral portions. Ref: Rockwood & Green's Fractures in Adults 6/e, Page 1615; Watson Jones: Fracture & Joint Injuries 6/e, Page 853-61.